Structure that does not cross the midline is
1. Left gonadal vein
2. Left Renal vein
3. Left brachiocephalic vein
4. Hemiazygos vein

Correct answer: 1. Left gonadal vein

Explanation: Left gonadal vein, left suprarenal vein & right renal vein do not cross midline. Hemiazygos vein cross midline at The vertebral level to join azygous vein. Left Renal vein is longer than right renal vein and cross midline anterior to aorta to drain into IVC. However, left gonadal & suprarenal veins drain into left renal vein (almost vertically) without crossing midline. Ref: Gray's 39e/p1026